The best method to reduce radiation caries is application of viscous
1. 0.5% neutral sodium fluoride gel
2. 1% neutral sodium fluoride gel
3. 0.5% stannous fluoride gel
4. 1% stannous fluoride gel

Correct answer: 2. 1% neutral sodium fluoride gel